Viral inclusion bodies are all EXCEPT:
1. Psamomma bodies
2. Molluscum
3. Negri
4. Bollinger

Correct answer: 1. Psamomma bodies

Explanation: ANSWER: (A) Psamomma bodiesREF: Jawett's microbiology, 24th edition, different pagesSee APPENDIX-23 for "VIRAL INCLUSION BODIES"